Hallpike manouvre is used to assess-
1. Cochlear function
2. Vestibular function
3. Brainstem function
4. Ear Ossicle continuity

Correct answer: 2. Vestibular function

Explanation: Ans. is 'b' i.e., Vestibular function Hallpike test / Positional testo It is a test for assessing vestibular function. It is particularly useful when patients complain of vertigo in certain head positions. It helps to differentiate peripheral and central lesions.Methodo Patient sits on a couch. Examiner holds the patients head, turns it 45deg to the right and then places the patient in supine position so that his head hangs 30deg below the horizontal. Patients eyes are observed for nystagmus. The test is repeated with head turned to left. Four parameters of nystagmus are observed latency, duration, direction, fatigability. Peripheral causes of BPPV can be differentiated from central causes (like tumors of fourth ventricle, cerebellum, temporal lobe, Multiple sclerosis, | ICT) by observing the characteristics of nystagmus.